Lid retraction is a side effect of wof anti- glaucoma drug
1. Latanoprost
2. Brimonidine
3. Brinzolamide
4. Pilocarpine

Correct answer: 2. Brimonidine

Explanation: Brimonidine:- This clonidine congener is more a2 selective and more lipophilic than apraclonidine. mech of action:- It lowers i.o.t. by 20-27% by reducing aqueous production and by increasing uveoscleral flow. Peak effect on i.o.t. occurs after 2 hours. Side effects:- Allergic conjunctivitis, mydriasis, eyelid retraction, conjunctival blanching followed by hyperemia, dry mouth, sedation and a small fall in BP have been noted. Ref:- kd tripathi; pg num:-154